True about coding strand of DNA:
1. Template strand
2. Minus strand
3. Runs at 5- - 3' direction
4. Runs at 3' - 5' direction

Correct answer: 3. Runs at 5- - 3' direction

Explanation: C i.e. Runs at 5'- 3' direction